In a case of Kala-azar aldehyde test becomes positive after -
1. 2 weeks
2. 4 weeks
3. 8 weeks
4. 12 weeks

Correct answer: 4. 12 weeks